Which of the following statements on lymphoma is not True
1. A single classification system for Hodgkin's disease (HD) is almost universally accepted
2. HD more often tends to remain localized to a single group of lymph nodes and spreads by contiguity
3. Several types of non Hodgkin's lymphoma (NHL) may have a leukemic phase
4. In general follicular (nodular)NHL has worse prognosis compared to diffuse NHL

Correct answer: 4. In general follicular (nodular)NHL has worse prognosis compared to diffuse NHL

Explanation: ROBBINS BASIC PATHOLOGY 9TH EDITION PG NO 440 Nodular sclerosis Hodgkin lymphoma is the most common form. It is equally frequent in men and in women and has a striking propensity to involve the lower cervical, supraclavicular, and mediastinal lymph nodes. Most patients are adolescents or young adults, and the overall prognosis is excellent